In which of the following psychiatric condition Floccillation is seen?
1. Mania
2. Depression
3. Anxiety disorders
4. Delirium

Correct answer: 4. Delirium

Explanation: Floccillation: Aimless plucking or picking, usually at bedclothes or clothing, commonly seen in dementia and delirium. Ref: Kaplan and Sadock's Synopsis of Psychiatry By Benjamin J. Sadock, Harold I. Kaplan, Virginia A. Sadock, 2007, Page 1423.